Hodgkin's lymphoma is caused by :
1. EBV
2. CMV
3. HHV6
4. HHV8

Correct answer: 1. EBV

Explanation: Ans (a) EBVRef: Robbin's pathology 9th ed. /588-90, 606EBVNasopharyngeal cancer, Burkitt lymphoma,Hodgkins and non-Hodgkin lymphoma; Infectious mononucleosis (Paul Bunnell test).CMVCMV retinitisHHV 6Primary effusion lymphomaHHV 8Kaposi sarcoma